Magistrate inquest can be done by all except
1. Collector
2. Deputy collector
3. Tahsildar
4. Village officer

Correct answer: 4. Village officer

Explanation: Magistrate inquest This is conducted by Executive Magistrates They are Collector Deputy collector Revenue Divisional Officer Tahsildar Ref: FORENSIC MEDICINE AND TOXICOLOGY Dr PC IGNATIUS THIRD EDITION PAGE 7